Drugs used for anaesthesia in a hypotensive is-
1. Propofol
2. Ketamine
3. Thiopentone
4. None

Correct answer: 2. Ketamine

Explanation: Ans. is 'b' i.e., Ketamine o Ketamine raises the BP, therefore is the induction agent of choice in hypotensive states and shock.